Atrial fibrillation may occur in all of the following conditions, except?
1. Mitral stenosis
2. Hypothyroidism
3. Dilated cardiomyopathy
4. Mitral regurgitation

Correct answer: 2. Hypothyroidism

Explanation: Causes of Atrial fibrillation: Rheumatic heart disease (MS and MR), Nonrheumatic mitral valve disease, Hypertensive cardio-vascular disease, dilated cardiomyopathy, atrial septal defect, Coronary heart disease, Thyrotoxicosis, Acute alcohol excess and alcohol withdrawal.